The neonatal teeth in infants are:
1. Teeth of normal series usually
2. Supernumerary teeth
3. Only calcified structures
4. Only keratinised structures

Correct answer: 1. Teeth of normal series usually

Explanation: Most studies suggest that the etiology for the premature eruption or the appearance of natal and neonatal teeth is multifactorial. A possible factor involving  the early eruption of primary teeth seems to be familial, due to inheritance as an autosomal-dominant trait.
A radiograph should be made to determine the amount of root development and the relationship of a prematurely erupted tooth to its adjacent teeth. One of the parents can hold the x-ray film in the infant’s mouth during the exposure.
Most  prematurely  erupted  teeth  (immature  type) are hypermobile because of limited root development. 
Some teeth may be mobile to the extent that there is danger  of  displacement  of  the  tooth  and  possible  aspiration,  in  which  case  the  removal  of  the  tooth  is indicated. In some cases the sharp incisal edge of the tooth may cause laceration of the lingual surface of the tongue (Riga-Fede disease), and the tooth may have to be removed.
The neonatal teeth in infants are teeth of normal series usually.
Reference: McDONALD AND AVERY’S DENTISTRY for the CHILD and ADOLESCENT, 10th ed page no 356